Which of the following is the most common site of tubal ligation:
1. Ampulla
2. Isthmus
3. Interstitial
4. Fimbria

Correct answer: 2. Isthmus

Explanation: In India tubal ligation is still done by the Pomeroy operation and entry is mostly by Minilap, though Laparoscopic procedures have increased substantially. A loop is made by holding the tube by an allis forceps in such a way that the major part of the loop consists of isthmus i.e. at the junction of proximal and middle third. Isthemic sterilization is best since , if required, a re anastomosis at the isthmo isthmic site has the best chance of success